Mcdonald stitch is applied in the following conditions except:
1. Incompetent os
2. Septate uterus
3. Placenta previa
4. Bad obstetrical history

Correct answer: 3. Placenta previa

Explanation: Contraindications to Circlage operation:

Intra uterine infection
Ruptured membranes
H/o vaginal bleeding
Severe uterine irritability
Cervical dilatation > 4 cm